Human development index (HDI) includes all except
1. Adult literacy rate
2. Infant mortality rate
3. Per capita income
4. Life expectancy at birth

Correct answer: 2. Infant mortality rate

Explanation: .human development index (HDI)is defined as the composite index combining indicators representing three dimensions,longevity(life expectancy at birth),knowledge(adult literacy rateand mean years of schooling),and income (real GDP per capita in purchasing power parity in US dollars) ref:parks textbook,22nd ed,pg no 16